The normal P wave is inverted in lead
1. LI
2. LII
3. aVF
4. aVR

Correct answer: 4. aVR

Explanation: Since this vector points toward the positive pole of lead II and toward the negative pole of lead aVR, the normal P wave will be positive in lead II and negative in lead aVR Ref Harrison 20th edition pg 1456